Integrins are associated with all except
1. Rolling
2. Adhesion
3. Arrest
4. Transmigration of cells

Correct answer: 1. Rolling

Explanation: Rolling is associated with selectins Integrins are associated with adhesion, arrest, transmigrationRobbins 9th /e p 76